Which of the following is the poorest source of vitamin "C"?
1. Milk
2. Cabbage
3. Guava
4. Radish

Correct answer: 1. Milk